Reason for the chronic recurrent subluxation or luxation:
1. Laxity of joint capsule.
2. Eroded articular eminence.
3. Trauma to the joint.
4. All of the above.

Correct answer: 4. All of the above.

Explanation: 1) Laxity of Joint capsule 
 condyle will move without Restriction.
2) Shollow | Flat | eroded Articular eminence (Height↓)
Condyle – jump – eminence
3) Trauma to the Joint
Integrity of ligament – ruptured.